First change in a dead body:
1. Mummification
2. Greenish discolouration of RIF
3. Putrefaction
4. Maggot formation

Correct answer: 2. Greenish discolouration of RIF

Explanation: Greenish discolouration of RIF